What age range does the Phallic/Oedipal stage of Freud' theory correspond to:
1. 0-1 year
2. 3-6 years
3. 2-3 years
4. 6-12 years

Correct answer: 2. 3-6 years

Explanation: b. 3-6 years(Ref: Nelson's 20/e p 52)Phallic/Oedipal stage of Freud theory correspond to the preschool age (3-6 years); At the core of Freudian theory is the idea of body-centered (or, broadly, "sexual") drives.